Tumors of the minor salivary glands are most frequently found at the:
1. Upper lip.
2. Lower lip.
3. Palate.
4. Tongue.

Correct answer: 3. Palate.

Explanation: Palate is the most common site.